The water cane in the larynx (saccules) are present in:
1. Paraglottic space
2. Pyriform fossa
3. Reinke's space
4. Laryngeal ventricles

Correct answer: 4. Laryngeal ventricles

Explanation: (Laryngeal ventricles) (281, D) (144, 199-200-LT) (310-Maqbool 11th)Saccule of Larynx -* From the anterior part of ventricle, a pouch called saccule of larynx extends between the vestibular fold and inner aspect of thyroid cartilage. It dilatation is thought to be cause of laryngocoele.Laryngocoele - It may be easily infected and emptied of air sometimes the mouth of sac becomes blocked infection supervenes, and the presentation is that of a pyocele.* Reinke's space - Under the epithelium of vocal cords is a potential space with scanty subepithelial connective tissues oedema of this space causes fusiform swelling of the membranous cords (Reinke's oedema)